All of the following are causes of granular contracted kidney except -
1. Benign nephrosclerosis
2. Chronic pyelonephritis
3. Diabetes mellitus
4. Chronic glomerulonephritis

Correct answer: 3. Diabetes mellitus